Mechanism of action of teduglutide in short bowel syndrome:
1. GLP-2 analog that inhibits apoptosis
2. HT1A inhibitor
3. GLP-1 analogs that inhibits apoptosis
4. C-peptide analogs

Correct answer: 1. GLP-2 analog that inhibits apoptosis

Explanation: Option A: Mechanism is a) Inhibits intestinal cell crypt apopotosis, due to which Mucosal growth increases . More mucosa means more surface area for absorption. b) Stomach motility regulation